Purpura fulminans is seen in which of the following conditions?
1. Severe DIC
2. Leukocytoclastic vasculitis
3. Viral hemorrhagic fever
4. Tularemia

Correct answer: 1. Severe DIC

Explanation: Large ecchymoses with sharply irregular shapes evolving into hemorrhagic bullae and then into black necrotic lesions seen in DIC sepsis, neisseria, malignancy, massive trauma.